Side-effect (s) of inhalational steroid is/are all except:
1. Adrenal suppression
2. Cataract
3. Osteoporosis
4. Hypoglycemia

Correct answer: 4. Hypoglycemia

Explanation: Answer- D. HypoglycemiaLocal side effects include hoarseness (dysphonia) and oral candidiasisgrowth retardation in children or to osteoporosis in adults.bruising, petechiaeHyperglycemia & pituitary- adrenal suppression